Cause of alpha thalasemia -
1. Deletion of alpha genes
2. Deletion of beta genes
3. Excess of alpha genes
4. Single amino acid substitution in alpha chain

Correct answer: 1. Deletion of alpha genes

Explanation: Ans. is 'a' i.e., Deletion of alpha genes a thalassemiasAlpha thalassemias are hemoglobin disorders in which the a chain of the hemoglobin is not/partly synthesized. a chains are required for all types of hemoglobin synthesis of all types of hemoglobin i.e.HbA (a2 b2)HbF (a2 g2)* HbA2 (a2d2)